Fosaprepitant is used as:
1. Anitidepressant
2. Anitiemetic
3. Antihypertensive
4. Diuretic

Correct answer: 2. Anitiemetic

Explanation: Neurokinin 1 (NK1)-receptor antagonists have antiemetic properties that are mediated through central blockade in the area postrema. Aprepitant (an oral formulation) is a highly selective NK1-receptor antagonist that crosses the blood-brain barrier and occupies brain NK1 receptors. It has no affinity for serotonin, dopamine, or corticosteroid receptors. Fosaprepitant is an intravenous formulation that is converted within 30 minutes after infusion to aprepitant. Ref: Katzung 11th edition Chapter 60.